A person restricts himself to house and fears about trains, elevators, and shopping malls. It is a feature of
1. Generalised Anxiety disorder
2. Agoraphobia
3. Claustrophobia
4. Acrophobia

Correct answer: 2. Agoraphobia

Explanation: (B) Agoraphobia # Agoraphobia is an anxiety disorder characterized by symptoms of anxiety in situations where the person perceives the environment to be unsafe with no easy way to get away.> These situations can include open spaces, public transit, shopping malls, or simply being outside the home. Being in these situations may result in a panic attack.> Symptoms occur nearly every time the situation is encountered and lasts for more than six months.> Those affected will go to great lengths to avoid these situations. In severe cases people may become unable to leave their homes.# Cause of agoraphobia is a combination of genetic and environmental factors. Condition often runs in families and stressful events such as the death of a parent or being attacked may be a trigger. In the DSM-5 agoraphobia is classified as a phobia along with specific phobias and social phobia. Other conditions that can produce similar symptoms include separation anxiety, posttraumatic stress disorder, and major depressive disorder. Those affected are at higher risk of depression and substance use disorder.> Treatment: Without treatment it is uncommon for agoraphobia to resolve. Treatment is typically with a type of counselling called cognitive behavioral therapy (CBT). CBT results in resolution for about half of people# Claustrophobia is the fear of having no escape and being in closed or small spaces or rooms.> It is typically classified as an anxiety disorder and often results in panic attack, and can be the result of many situations or stimuli, including elevators crowded to capacity, windowless rooms, and even tight-necked clothing.> Onset of claustrophobia has been attributed to many factors, including a reduction in the size of the amygdala, classical conditioning, or a genetic predisposition to fear small spaces.> Claustrophobia is typically thought to have two key symptoms: Fear of restriction Fear of suffocation> A typical claustrophobic will fear restriction in at least one, if not several, of the following areas: small rooms, locked rooms, cars, aeroplanes, trains, tunnels, cellars, elevators, caves.# Acrophobia is an extreme or irrational fear or phobia of heights, especially when one is not particularly high up.> It belongs to a category of specific phobias, called space and motion discomfort, that share both similar etiology and options for treatment.